Diene's method is used for -
1. Mycoplasma
2. Chlamydiae
3. Plague
4. Diphtheria

Correct answer: 1. Mycoplasma